Which organ is mainly affected in Leukostasis?
1. Liver
2. Heart
3. Kidney
4. Lung

Correct answer: 4. Lung

Explanation: Brain and Lungs (BOTH) are the most commonly affected organs by hyper leukocytosis and leukostasis syndrome WBC counts in excess of >100,000/cu.mm leads to leukostatic plugging of the capillaries followed by endothelial damage to blood vessels. The presence of dysnea, tachypnea and respiratory distress indicates pulmonary leukostasis. CNS leukostasis presents with stupor, headache and dizziness. The mortality occurs due to respiratory failure, intracranial haemorrhage and coma. The low P02 is due to increased consumption of oxygen by leucocytes. It is common with Acute leukemia subtypes like Acute promyelocytic leukemia, acute monocytic leukemia and T cell type of ALL